Fatty yellow liver is seen in poisoning with:
1. Arsenic
2. Aconite
3. Oxalic acid
4. Mercury

Correct answer: 1. Arsenic

Explanation: Ans. Arsenic